A 7 years girl, parents gave a history of fever for which she was treated with Paracetamol following which the fever subsided. Later she developed seizures and altered sensorium. The urine examination revealed oxalate crystals on microscopy, Blood anion gap and osmolality were increased. The diagnosis is
1. Lactic acidosis
2. Ethylene glycol poisoning
3. Renal tubular acidosis
4. Paracetamol poisoning

Correct answer: 2. Ethylene glycol poisoning

Explanation: Ingestion of antifreeze causes high AG acidosis. Due to ethylene glycol and its metabolites oxalic acid, glycolic acid. Diagnosis is facilitated by the presence of oxalate crystals in urine.Ref: Harrison's 18/e p367, 17/e p291